Most common organism causing food poisoning in canned food -
1. Styphi
2. Vcholarae
3. H pylori
4. C botulinum

Correct answer: 4. C botulinum

Explanation: Ans. is 'd' i.e., C. botulinum o Cl. botulinum food poisoning: can occur by canned food (home-canned low acid foods).Food born botulismo Due to ingestion of preformed toxin.o Human disease is caused by A, B, E and very rarely F {But all types can cause human disease - Green wood)o Type G has been associated with sudden death in a few patients.o The source is usually preserved food meat and meat products, canned vegetables and fish. Type E outbreaks occur with fish products,o Incubation period is 12-36 hours.o Symmetric descending paralysis is characterstic with other parasympatholytic manifestations like constipation and urinary retention.